Clinical features of complicated cataract are all, EXCEPT –
1. Polychromatic lusture
2. Axial spread of opacity
3. Opacity along sutures
4. Posterior subcapsular opacity

Correct answer: 3. Opacity along sutures

Explanation: Typically opacification starts in the posterior part of the cortex in the axial region (Posterior cortical cataract or posterior subcapsular cataract).
Opacity along the suture lines is seen sutural cataract.